All the following diseases are spread by Hard Tick except...
1. Relapsing fever
2. KFD
3. Tularemia
4. Tick paralysis

Correct answer: 1. Relapsing fever

Explanation: Relapsing fever Vector Vector Disease (a) Soft tick * Q fever, Relapsing fever (b) Hard tick * Tick typhus * Viral encephalitis * Viral fevers * Viral hemorrhagic fever (KFD) * Tuleremia * Human babesiosis, Tick paralysis